The largest branch of brachial plexus is ?
1. Ulnar
2. Medial
3. Radial
4. Axillary

Correct answer: 3. Radial

Explanation: The radial nerve is the largest branch of the posterior cord of the brachial plexus with a root value of C5-C8, T1. Ref: BD Chaurasia; Volume I; 7th edition; Page no: 57.